Paltauf's hemorrhages are seen in:
1. Brain
2. Lungs
3. Heart
4. Liver

Correct answer: 2. Lungs

Explanation: Ans. Lungs